Harmonic imaging is used in?
1. USG
2. CT
3. MRI
4. MRCP

Correct answer: 1. USG

Explanation: Harmonic imaging is a technique in ultrasonography that provides images of better quality as compared with conventional ultrasound technique. Advantages over conventional ultrasound Decreased reverberation and side lobe artifacts. Increased axial and lateral resolution. Cyst clearing. Increased signal to noise ratio. Improved resolution in patients with large body habitus.